An 8-month-old female child presented to emergency with a heart rate of 220/minute and features of congestive heart failure. Her heart rate comes down to normal after administering intravenous adenosine. What is the most likely diagnosis?
1. Atrial fibrillation
2. Atrial flutter
3. Paroxysmal supraventricular tachycardia
4. Ventricular tachycardia

Correct answer: 3. Paroxysmal supraventricular tachycardia

Explanation: Ans. is 'c' i.e., Paroxysmal supraventricular tachycardia o Adenosine is the DOS for PSVT.